Fixed oxygen delivery device is?
1. Venturi mask
2. Nasal cannula
3. Nasal mask
4. Non breathing mask

Correct answer: 1. Venturi mask

Explanation: ANSWER: (A) Venturi maskREF: Stakey's essentials of anesthesia 2nded p. 76-77"Ventury mask is a high flow fixed performance oxygen delivery device"O2 DELIVERY SYSTEMS:High flow/fixed performance systemsLow flow/variable performance systemsProvides complete source of inspired 02,Provides fraction of inspired O2Oxygen given at predetermined rate and doesn't depend upon patients respirationOnly used when fixed oxygen delivery is not required, oxygen delivery depends upon supply rate , tightness of mask on face , pattern of ventilationVenture maskLow flow devices areNasal cannulaOxygen tentsNon breathing masksPolymasksRebreathing masksMaximum Oxygen delivered- 60%Maximum oxygen delivered - 44%